Commotio retinae affects which part of retina-
1. Posterior pole
2. Peripheral retina
3. Inferior-nasal part
4. Superior-nasal part

Correct answer: 1. Posterior pole

Explanation: *Berlin's oedema, also called commotio retinae, occurs in blunt trauma to eye. *It manifests as milky white cloudiness involving a considerable area of the posterior pole with a 'cherry-red' spot in the foveal region. *It May disappear after some days or may be followed by pigmentary changes. Ref: Khurana 7th/e p.448